ENL is seen in which form of leprosy – a) Indeterminateb) BTc) LLd) BLe) TT
1. ab
2. bc
3. cd
4. ac

Correct answer: 3. cd